Which of the following is not a B-cell neoplasm?
1. Hairy cell leukemia
2. Angiocentric lymphoma
3. Mantle cell lymphoma
4. Burkitt's lymphoma

Correct answer: 2. Angiocentric lymphoma

Explanation: Ans. is 'b' i.e. Angiocentric lymphoma L Precursor B-cell NeoplasmsIV-Peripheral T-cell and NK-cell NeoplasmPrecursor-B lymphoblastic leukemia/lymphoma- T-cell prolymphocytic leukemia11-Peripheral B-Cell Neoplasms- Large granular lymphocytic leukemia- Chronic lymphocytic leukemia/small- Mycosis fungoides/sezary syndromelymphocytic lymphoma- Peripheral T-cell lymphoma, unspecified- B cell prolymphocytic leukemia- Anaplastic large cell lymphoma- Lymphoblastic lymphoma- Angioimmunoblastic T-cell lymphoma- Splenic and nodal marginal zone lymphoma- Enteropathy-associated T-cell lymphoma- Extranodal marginal zone lymphoma- Panniculitis-like T-cell lymphoma- Mantle cell lymphoma- Hepatosplenic y8 T-cell lymphoma- Follicular lymphoma- Adult T-cell leukemia/lymphoma- Marginal Zone lymphoma- NK/T-cell lymphoma, Nasal type- Hairy cell leukemia- Nk-cell leukemia- Plasmacytoma/Plasma cell myelomaV- Hodgkin Lymphoma- Diffuse large P-cell lymphomaClassical subtypes- Burkitt lymphoma- Nodular sclerosisIII. Precursor T-cell Neoplasms- Mixed cellularity- Precursor-T lymphoblastic- Lymphocyte-richleukemia/lymphoma- Lymphocyte predominance